School closure is recommended during an outbreak of swine flue. All of the following support this except?
1. Closure of school will not lead to reduction in contact between children
2. Children are the most common affected population by swine flu
3. Increased rates of transmission due to more opportunities for contact
4. Playing together of students increases the transmisson

Correct answer: 1. Closure of school will not lead to reduction in contact between children

Explanation: School closure will leads to reduction in contact between children. So school closure can be recommended Reference; Park's Textbook of preventive and social medicine, 24th edition.Pg no. 167